Which of the following antiglaucoma medication is UNSAFE in infants ?
1. Timolol
2. Brimonidine
3. Latanoprost
4. Dorzolamide

Correct answer: 2. Brimonidine

Explanation: Apraclonidine and brimonidine can cross blood brain barrier and may result in CNS depression and apnea in neonates. ‘These are threfore contra-indicated in children less than 2 years.